Toxin is produced by all except:
1. C. diphtheriae
2. C. ulcerans
3. C. hofmanni
4. C. pseudotuberculosis

Correct answer: 3. C. hofmanni

Explanation: Ans. is 'c' i.e., Corynebacterium hofmannii(Ref: Ananthanarayan, 9th/e, p. 242 and 8th/e, p. 239; Harrison, 17th/e, p. 893-941; Greenwood)Among the Corynebacterium species, three Corynebacterium produce diphtheria toxin: C. diphtheriae, C. pseudotuberculosis and C. ulcerans. "Like C. diphtheriae, C. pseudotuberculosis and C. ulcerans can produce toxin and cause clinically resembling Diphtheria."